Choking is constricting device within the barrel at the muzzle end of :
1. Revolver
2. 303 rifle
3. Shot gun
4. Semiautomatic pistol

Correct answer: 3. Shot gun

Explanation: C i.e. Shot gun